Most common cause for chronic pancreatitis is
1. Idiopathic
2. Iatrogenic
3. Gall stones
4. Alcohol

Correct answer: 4. Alcohol

Explanation: Alcohol is MCC of chronic pancreatitis.